Sex ratio of children population in the age group of 0-6 years according to the 2011 census is
1. 940
2. 914
3. 944
4. 933

Correct answer: 2. 914

Explanation: Child sex ratio (0-6 years) Census 2011 marks a fall in child sex ratio in the age group of 0-6 years and has reached an all time low of 914. The fall has been 13 points from 927 to 914 for India during 2001 to 2011. Reference : Park's textbook of preventive and social medicine, 23rd edition, page no: 484